Laproscopic tubal ligation contraindication -
1. Post partum state
2. Post MTP
3. Gynaecologic malignancies
4. 3 previous childbirth

Correct answer: 1. Post partum state

Explanation: Ans. is 'a' i.e., Postpartum state "The operation is done in the interval period, concurrent with the vaginal termination of pregnancy or 6 weeks following delivery. Should not be done within 6 weeks following delivery."